Fascia around the nerve bundles of brachial plexus is derived from-
1. Deep cervical fascia
2. Pretracheal fascia
3. Prelaryngeal fascia
4. None

Correct answer: 1. Deep cervical fascia

Explanation: Ans. is 'a' i.e., Deep cervical fascia * The axillary sheath is a fibrous sheath that encloses the first portion of the axillary artery, together with the brachial plexus. The axillary vein lies entirely outside the sheath It is an extension of the prevertebral fascia of the deep cervical fascia.* A brachial plexus nerve block can be achieved by injecting anaesthetic into this area.